Omega shaped epiglottis is seen in:
1. Epiglottitis
2. Laryngomalacia
3. Epiglottis CA
4. Tuberculosis

Correct answer: 2. Laryngomalacia

Explanation: Ans. (b) LaryngomalaciaRef: Dhittgra's ENT 6th ed./ 295LARYNGOMALACIA* The most common congenital disease of larynx is Laryngomalacia.* Laryngeal cartilages are extremely soft and flabby in a child with laryngomalacia.* Most common clinical presentation of laryngomalacia: Stridor* The stridor is mainly inspiratory and increases during supine position but decreases during prone position.* Laryngomalacia may involve all the cartilages but epiglottis and aryepiglottic folds are mainly involved.* IOC: Direct laryngoscopy.* The finding is Omega shaped epiglottis (long and tubular epiglottis with curled up tip).DIFFERENT SHAPE OF GLOTTIS AND CONDITIONSGLOTTIS SHAPECONDITION* Key hole shapedPhonasthenia* Omega shapedLaryngomalacia* Thumb signAcute epiglottitis* Steeple signCroup/ Laryngotracheobronchitis* Turban shapedLaryngeal TB